Characteristics of blood flow in capillaries
1. High velocity high stress
2. High velocity low stress
3. Low velocity and pulsatile
4. Low velocity and high shear stress

Correct answer: 4. Low velocity and high shear stress